Which is seen in opioid poisoning -
1. Hyperventilation
2. Raised BP
3. Slow shallow respiration
4. Dyspnea

Correct answer: 3. Slow shallow respiration